A 35-year-old man with AML and WBC of 100,000 cells/ ul is treated with chemotherapy and develops oliguric renal failure. His urine is acidic and numerous crystals are noted in the urine. The most likely diagnosis
1. Urate nephropathy
2. Nephrocalcinosis
3. Leukemic infiltration of the kidneys
4. Acute tubular necrosis secondary to a nephrotoxic effect of his chemotherapy

Correct answer: 1. Urate nephropathy

Explanation: The patient has urate nephropathy, characterized by the formation of urate crystals in the renal tubules and interstitium, which evoke an inflammatory reaction. This condition is most commonly observed during treatment for disseminated cancer (e.g., leukemia), in which the release of purines from the dying cells leads to the excessive synthesis of uric acid. An acid pH favors uric acid crystal formation. Allopurinol is normally given in these situations to prevent this serious complication. Nephrocalcinosis, which usually develops in cases of hypercalcemia and/or hyperphosphatemia, would not be expected in the treatment of acute myelogenous leukemia. Leukemic infiltration of the kidneys may occur as a complication, but it does not produce crystals in the urine. Acute tubular necrosis secondary to a nephrotoxic effect of chemotherapy is always a possible complication, but it is associated with crystals in the urine. Acute pyelonephritis is not related to the treatment of leukemia. Ref - Harrison's principles of internal medicine 20e pg 2159,3000